Which of the following hormones is an example of a peptide hormone?
1. Parathormone
2. Adrenaline
3. Cortisol
4. Thyroxine

Correct answer: 1. Parathormone

Explanation: Parathormone is a peptide hormone formed by the parathyroid glands; it raises the serum calcium levels when administered parenterally by causing bone resorption, reducing renal clearance of calcium and increasing efficiency of calcium absorption in the intestine.Ref: Ganong's review of medical physiology; 24th edition; page no: 377